The Non-REM (NREM) sleep is commonly associated with which of the following?
1. Night terrors
2. Frequent dreaming
3. Frequent penile erections
4. Increased blood pressure

Correct answer: 1. Night terrors

Explanation: Night terror (pavor nocturnes), occurs primarily in young children during the first several hours after sleep onset, in slow-wave sleep (NREM stage 3, 4 sleep). In this, the child suddenly screams exhibiting autonomic arousal with sweating, tachycardia, and hyperventilation. It is difficult to arouse children and they rarely recalls the episode on awakening in the morning. Ref: Poh Pathophysiology: Concepts of Altered Health States By Ruth A. Hannon, Pages 585-6 ; Lexicon of Psychiatry, Neurology, and The Neurosciences By Frank J. Ayd, Page 931